Wax crayons contains
1. Lead
2. Para nitro aniline
3. Beryllium
4. Nitrobenzene

Correct answer: 2. Para nitro aniline

Explanation: #NAME?